Local anaeshthetics cannot be used at the site ofinfection because it causes -
1. Spread of infection
2. Lowered efficiency
3. Both
4. None

Correct answer: 3. Both

Explanation: Ans. is 'c' i.e., Both Local infiltration is contraindicated near infection because it not only spreads the infection but is also ineffective, as the acidity produced by infection blocks the action of the drugs.